Tactile hallucination seen in abuse with -
1. Heroine
2. Cocaine
3. Cannabis
4. Alcohol

Correct answer: 2. Cocaine

Explanation: Ans. is 'b' i.e., Cocaine o Magnan's symptoms is tactile hallucination (formication) i.e. feeling of bugs crawling under the skin is seen with cocaine abuse/ poisoning.Cocaineo Cocaine is an alkaloid derived from the Coca bush, Erythrexylum CoCa. It was the first local anaesthetic which was used clinically. Toxicity' of cocaine may be : -Acute toxicity': - Acute cocaine intoxication is characterized by : -Sympathetic hyperactivity: - Tachycardia, hypertension, mydriasis, sweating, nausea & vomiting.Hypomanic state : - Increased psychomotor activity, grandiosity', elation, hypervigilance, Increased speech output.Chronic overuse: - Chronic overuse can cause: -Psy chotic episodes (Cocaine psychosis): - Persecutory delusions with tactile hallucinations (formination)Tactile hallucinations are manifested as bugs crawling under the skin - Cocaine bugs or magnan 's symptoms.Other: - Anxiety reaction, compulsive behavior, delirium and delusional disorders.Black pigmentation of tongue and teetho A combination of cocaine and heroin taken by injection is called speed ball.